Most important feature of psoriasis?
1. Crusting
2. Scaling
3. Oozing
4. Erythema

Correct answer: 2. Scaling

Explanation: Psoriasis (Papulosquamous disease) Common inflammatory scaling dermatosis (well-demarcated erythematous plaques surmounted by characteristic silvery white scaling) with a B/L symmetric distribution & is associated with seronegative spondyloarthropathy. Scaling Conditions Psoriasis Atopic Dermatitis Contact Dermatitis Lichen Simplex Chronicus Lichen Planus